Which one of the following Thyroid disease is associated with pain?
1. Hashimoto's thyroiditis
2. Deqeurvain's thyroiditis
3. Simple nontoxic goiter
4. Grave's disease

Correct answer: 2. Deqeurvain's thyroiditis

Explanation: (B) Deqeurvain's thyroiditis # Subacute Granulomatous (de Quervain) Thyroiditis> Subacute granulomatous thyroiditis, also known as de Quervain thyroiditis, is much less common than is Hashimoto disease.> de Quervain thyroiditis is most common between the ages of 30 and 50 and, like other forms of thyroiditis, occurs more frequently in women than in men.> Subacute thyroiditis is believed to be caused by a viral infection or a postviral inflammatory process. Clinical Features: The onset of this form of thyroiditis is often acute, characterized by pain in the neck (particularly when swallowing), fever, malaise, and variable enlargement of the thyroid. Transient hyperthyroidism may occur, as in other cases of thyroiditis, as a result of disruption of thyroid follicles and release of excessive thyroid hormone.> Chronic Lymphocytic (Hashimoto) Thyroiditis Hashimoto thyroiditis is the most common cause of hypothyroidism in areas of the world where iodine levels are sufficient. It is characterized by gradual thyroid failure because of autoimmune destruction of the thyroid gland. Clinical Features: Hashimoto thyroiditis comes to clinical attention as painless enlargement of the thyroid, usually associated with some degree of hypothyroidism, in a middle-aged woman. The enlargement of the gland is usually symmetric and diffuse, but in some cases it may be sufficiently localized to raise a suspicion of neoplasm.> Graves disease: Graves disease is the most common cause of endogenous hyperthyroidism. It is characterized by a triad of manifestations: Thyrotoxicosis, caused by a diffusely enlarged, hyperfunctional thyroid, is present in all cases. An infiltrative ophthalmopathy with resultant exophthalmos is noted in as many as 40% of patients. A localized, infiltrative dermopathy (sometimes designated pretibial myxedema) is seen in a minority of cases. Clinical Features: The clinical manifestations those associated uniquely with Graves disease: diffuse hyperplasia of the thyroid, ophthalmopathy, and dermopathy. The degree of thyrotoxicosis varies from case to case and may sometimes be less conspicuous than other manifestations of the disease.